Which of the following is not a features of simple tongue thrust swallowing
1. Contraction of facial muscle
2. Contraction of mandibular elevators
3. Teeth apart swallow
4. Anterior open bite

Correct answer: 3. Teeth apart swallow